Type of primary healing among the following is/are:
1. Contact healing.
2. Gap healing.
3. Both of the above.
4. None.

Correct answer: 3. Both of the above.